The characteristics of caput succedaneum include all of the following except:
1. Crosses midiine
2. Crosses the suture line
3. It does not disappear within 2-3 days
4. It is a diffuse edematous swelling of the soft tissues of the scalp

Correct answer: 3. It does not disappear within 2-3 days

Explanation: Ans. is c, i.e. It does not disappear within 2-3 daysCaput succedaneumThis is a localized swelling of the scalp due to effusion of serum above the periosteum.Pathology:There is obstruction of venous and lymphatic return due to pressure by the cervix.|Stagnation of fluid|Edema over scalpSite: of the caput depends upon the position of the head.It is present at birth and disappears by about 24-36 hours.The size indicates the amount of pressure on the head. CephalhematomaCaput succedaneumSharply circumscribedSoft but does not pit on pressureUnder the periosteumDoes not cross suture linesFixed in one placeMay be associated with fractureAppears sometime after birth, grows largerand disappears only after weeks or monthsDiffuseSoft and pits on pressureAbove the periosteumLies over and crosses suture lines/midlineMovable over dependant partNot associated with fractureLargest at birth, immediately starts to regress and disappears in a few hours